Ratio of connective tissue : smooth muscle in cervix is ?
1. 2:01
2. 5:01
3. 8:01
4. None

Correct answer: 3. 8:01

Explanation: Ans. is 'c' i.e., 8:1